Multiple Sclerosis is
1. Toxic disorder
2. Infectious disorder
3. Degenerative disorder
4. Demylinating disorder

Correct answer: 4. Demylinating disorder

Explanation: (D) Demylinating disorder > Multiple sclerosis (MS) is characterized by a triad of inflammation, demyelination, and gliosis (scarring); the course can be relapsing-remitting or progressive. Lesions of MS are typically disseminated in time and location.